Complication of Kerosene poisoning -
1. Pneumonia
2. Vomiting
3. Hemoptysis
4. Diarrhoea

Correct answer: 1. Pneumonia

Explanation: Ans. is 4a' i.e., Pneumonia o Bronchopneumonia and pulmonary edema are complications of kerosene poisoning, o Vomiting and diarrhea also occur, but these are symptoms (not complications).